Which of the following suggests that a particular case of hepatitis B is highly infective?
1. HbsAg +ve
2. HBsAg + HBeAg
3. Anti HbsAg
4. Anti HbeAg

Correct answer: 2. HBsAg + HBeAg

Explanation: HBsAg in the serum is the first evidence of infection, HBeAg indicates viral replication and infectivity. Patients who are HBsAg and HBeAg positive indicates that they are highly infective. Anti HBsAg appear in individuals after clearence of HBsAg and is also present in individuals after successful vaccination. Reference: Harrison's Principles of Internal Medicine 18th edition chapter 304.